Cross bite is a
1. Mesio distal malocclusion
2. Bucco lingual malocclusion
3. Vertical malocclusion
4. None of the above

Correct answer: 2. Bucco lingual malocclusion